Mechanism of action of oxybutynin is:-
1. Cholinergic muscarinic receptor agonist
2. Cholinergic muscarinic receptor antagonist
3. Cholinergic nicotinic receptor antagonist
4. Cholinergic nicotinic receptor agonist

Correct answer: 2. Cholinergic muscarinic receptor antagonist

Explanation: Oxybutynin is an anticholinergic drug used in overactive bladder. It acts by blocking M3 muscarinic receptors. It has maximum risk of causing dry mouth and other anti-cholinergic adverse effects.